Median atlantoaxial joint is a type of
1. Coadylar joint
2. Ellipsoid joint
3. Pivot joint
4. Ball and Socket joint

Correct answer: 3. Pivot joint

Explanation: Median atlantoaxial joint is a type of pivot joint.
Atlantooccipital joint is an Ellipsoid joint.